Cornea verticillate is caused by -
1. Erythromycin
2. Amiodarone
3. Timolol
4. Tetracycline

Correct answer: 2. Amiodarone

Explanation: Cornea verticillata, also called Fleischer vortex, vortex keratopathy or whorl keratopathy, is a condition characterised by corneal deposits at the level of the basal epithelium forming a faint golden-brown whorl pattern. It is seen in Fabry disease or in case of prolonged amiodarone intake.